True about diabetic nephropathy -
1. Microalbuminiuria is not an indicator of long term cardiovascular morbidity.
2. Strict glycemic control cannot prevent microalbuminuria
3. b-islet cell\/pancreatic transplantation can improve the proteinuria in early stage.
4. Angiotensin receptor blockers have no additive advantage over other drugs except B.P. control.

Correct answer: 3. b-islet cell\/pancreatic transplantation can improve the proteinuria in early stage.

Explanation: Beta islet cell/ pancreatic transplantation can improve proteinuria in early stages.. Strict control of blood glucose retards the progression of any diabetes related complication Early pathological change and albumin excretion abnormalities is reversible with normalization of plasma glucose Administration of ACE inhibitors or ARB's, is also effective in slowing progression from Microalbuminuria to overt nephropathy Ref Harrison 17/e p 2287-88